Sunflower cataract is due to deposition of:
1. Cu
2. Zn
3. Fe
4. Ca

Correct answer: 1. Cu

Explanation: Ans. A i.e. Cu Cataract Snowflake cataract: DM Rossette cataract: Trauma Christmas tree pattern: Myotonic dystrophy Sunflower cataract: Wilsons disease Oil drop cataract: Galactosemia